Indication of surgery in benign hyperplasia of prostate is
1. Post void urine volume is 200 ml
2. Weakened urinary stream
3. Dysuria
4. Residual urine < 100 ml

Correct answer: 1. Post void urine volume is 200 ml

Explanation: Indications for surgery in BPH are: * Prostatism *Acute retentionof urine *Chronic retention of urine with residual urine > 200ml*Complications like hydroureter, hydronephrosis, stone formation, recurrent infections, bladder changes.*HematuriaReference : page 1045 SRB's manual of surgery 5th edition